Autoinfection is a mode of transmission in-
1. Trichinella
2. Cycticercosis
3. Ankylostoma
4. Ascaris

Correct answer: 2. Cycticercosis